Of the following four bacterial species, which is LEAST
LIKELY to be found in plaque?
1. Actinomyces viscosus
2. Streptococcus mutans
3. Streptococcus salivarius
4. Streptococcus sanguis

Correct answer: 3. Streptococcus salivarius